ANOVA is
1. Parametric
2. Non parametric
3. Qualitative
4. None

Correct answer: 1. Parametric

Explanation: Ref:Park's Textbook of Preventive and Social Medicine 25th Ed